Which of the following is used in External Beam Radiotherapy?
1. I-131
2. P-32
3. I-125
4. LINAC

Correct answer: 4. LINAC

Explanation: External Beam Radiotherapy(EB/TELETHERAPY) is done using C0-60/Cs-137 which produce Gamma Rays Nowadays EB/TELETHERAPY is usually done using Linear Accelerator/LINAC which uses Xrays